Triangular space between clitoris and hymen -
1. Fourchette
2. Fossa navicularis
3. Vestibule
4. Labia minora

Correct answer: 3. Vestibule

Explanation: Ref: synopsis of Forensic Medicine & Toxicology (K.S.Narayan Reddy)28th edition ,page 203 In a virgin female, the labia minora are two thin folds of skin just within the labia majora. The lower portions of labia mainora fuse in midline and form a fold fourchette. The depression between fourchette and vaginal orifice is called fosa navicularis. The clitoris is small and the triangular narrow space clitoris and hymen is called vestibule.